All are glycoprotein, except:
1. TSH
2. FSH
3. LH
4. GH

Correct answer: 4. GH

Explanation: GH